Which of the following drug can increase the calcium sensitivity of myocytes ?
1. Omapatrilat
2. Levosimendan
3. Milrinone
4. Sacubitril

Correct answer: 2. Levosimendan

Explanation: Levosimendan Calcium sensitizer which increases the sensitivity of the heart to calcium Positive ionotropic effect on heart without rise in intracellular calcium. Also act as PDE 3 inhibitor. Note : Other drugs in the options are not related to calcium sensitivity of the heart.